The “cutoff” value of plasma glucose in 50 g glucose challenge test is
1. 120 mg/dL
2. 140 mg/dL
3. 160 mg/dL
4. 180 mg/dL

Correct answer: 2. 140 mg/dL